Suspended animation is seen in following except -
1. Sun stroke
2. Cerebral concussion
3. Cholera
4. Delerium tremens

Correct answer: 4. Delerium tremens

Explanation: Ans. is'd' i.e., Delirium tremens Suspended animationo it is apparent death, i.e. signs of life are not found as the functions are interrupted for some time or are reduced to minimum. The person is not dead i.e. there is no somatic death, brain death or molecular (cellular) death(AI02). Life continues and resuscitation is successful in such cases. The condition lasts from few seconds to 1/2 an hour or more. It may be found in :i) Electrocutioniv) After anaesthesiavii) Cerebral concussionx) Yogis (voluntary')ii) Drowningv) Shockviii) Narcotic poisoning iii) Choleravi) Sunstrokeix) Newborn infants